Ilio-Pectineal line is used to determine difference in ?
1. Sex
2. Race
3. Age
4. None of the above

Correct answer: 1. Sex

Explanation: Ans. is 'a' i.e., Sex Ilio-Pectineal line is helpful in differentiating the sex of pelvis. In males it is rough, well marked and less vertical while in females it is smooth, rounded and more vertical.